Not a radiological feature of sickle cell anemia
1. Hair on end appearance
2. Bone within bone appearance
3. Diaphyseal or epiphyseal infarct
4. Chondrocalcinosis.

Correct answer: 4. Chondrocalcinosis.

Explanation: Chondrocalcinosis is a feature of Pseudogout.